Reverse smoking causes
1. Carcinoma lip
2. Carcinoma hard palate
3. Carcinoma soft palate
4. Carcinoma lung

Correct answer: 2. Carcinoma hard palate

Explanation: Ans. (b) Carcinoma hard palateRef: K. Park 21sted. /357-58* In eastern coastal regions of Andhra Pradesh epidermoid carcinoma of hard palate is most common. It is linked with habit of reverse smoking of cigar (chutta), i.e., smoking with burning end inside the mouth.